A CKD patient on haemodialysis complains of chest pain and back pain after five minutes of dialysis initiation. On reassurance by nurse he feels gradually better and the symptoms resolve on their own. What is the cause?
1. Anxiety due to the procedure
2. Type B anaphylactoid reaction to dialyser
3. Anaphylaxis to ethylene dioxide used for sterilization of dialysis machine
4. Febrile non-haemolytic transfusion reaction

Correct answer: 2. Type B anaphylactoid reaction to dialyser

Explanation: OPTION B- Type B anaphylactoid reaction to dialysis- release of cytokine due to chemical composition of dialysis OPTION C. Anaphylaxis to ethylene dioxide can be very lethal and cannot resolve by its own. OPTION D. Febrile non-hemolytic transfusion reaction is related to blood transfusion not dialysis.